GM-CSF among the following?
1. Filgrastim
2. Sargramostim
3. Aldesleukin
4. Interleukin-11

Correct answer: 2. Sargramostim

Explanation: Cytokine Clinical Uses Aldesleukin (IL-2) | lymphocyte differentiation and | NKs--used in renal cell cancer and metastatic melanoma Interleukin-11 | platelet formation--used in thrombocytopenia Filgrastim (G-CSF) | granulocytes--used for marrow recovery Sargramostim(GM-CSF) | granulocytes and macrophages--used for marrow recovery Erythropoietin Anemias, especially associated with renal failure Thrombopoietin Thrombocytopenia Interferon-a Hepatitis B and C, leukemias, melanoma Interferon-b Multiple sclerosis Interferon-g Chronic granulomatous disease -| TNF Ref : Ananthanarayana textbook of Microbiology 9th edition Pgno : 154